Contraindication of topical beta blockers –
1. Hypertension
2. Asthma
3. Tachycardia
4. Hypotension

Correct answer: 2. Asthma

Explanation: β-blockers (non-selective) :- Asthma, COPD, CHF, sinus bradycardia, AV block
Cholinomimetic (Pilocarpine) :- Uveitis
Sympathomimetic agents


Dipiveferine :- Angle closure glaucoma, cardiovascular disease.
Brimonidine, Apraclonidine: - Use of MAO inhibitors, hypertensive crisis, Parkinsonism.


Carbonic anhydrase inhibitors: - Hypersensitivity to sulfonamide, eye injury.
Prostaglandin analogues: - Ocular inflammation or infection.